All of the following statements are true about Benedikt's syndrome except -
1. Contralateral tremor
2. 3rd nerve palsy
3. Involvement of the penetrating branch of the basilar artery
4. Lesion at the level of the pons

Correct answer: 4. Lesion at the level of the pons